What are Rushton bodies?
1. Hyaline bodies of odontogenic cyst
2. Refractive bodies of radicular cyst
3. Bodies seen in ameloblastoma
4. Hyaline bodies seen in dentigerous cyst

Correct answer: 1. Hyaline bodies of odontogenic cyst

Explanation: Rushton bodies or hyaline bodies of odontogenic cysts feature as eosinophilic, straight or curved, irregular or rounded structure within the epithelial lining of odontogenic cyst. Rushton bodies occur almost exclusively within odontogenic cyst